Saw tooth appearance is seen in:
1. Diverticulosis
2. Cholecystitis
3. Appendicitis
4. Hiatus hernia

Correct answer: 1. Diverticulosis

Explanation: Ans. (a) DiverticulosisRef: SRB Manual of Surgery 4th ed. /952* Most common site of diverticulosis is the sigmoid colon in as many as 95% of patients with cecum being involved in 5% of patients.* Reasons for sigmoid colon being the main site of diverticulosis and leading to saw tooth appearance-# Sigmoid colon is the narrowest portion of the colon, and generates the highest intra-segmental pressures# Combination of numerous haustra and dehydrated stool in the sigmoid colon leads to segmentation, in which the sigmoid colon functions as multiple small compartments.Also KnowPathologies and their radiological findingsDiverticulosisSaw tooth appearance on barium enemaIntussceptionClaw sign on barium signVolvulusCoffee bean sign /bird of prey signIschemic colitisThumb printing sign